Persistent diarrhoea is defined as diarrhoea lasting more than?
1. 7 days
2. 14 days
3. 21 days
4. 28 days

Correct answer: 2. 14 days

Explanation: Ans. (b) 14 days